Staphylococcus aureus differs from Staphylococcus epidermidis by
1. Is coagulase positive
2. Forms white colonies
3. A common cause of UTI
4. Causes endocarditis in drug addicts

Correct answer: 1. Is coagulase positive

Explanation: Tube coagulase test: detects free coagulase. Coagulase is an enzyme rather brings about clotting of human or rabbit plasma. It acts as a coagulase reacting factor present in plasma, binding to prothrombin and converting fibrinogen to fibrin. Staphylococcus aureus is coagulase positive but Staphylococcus epidermidis is coagulase negative. Staphylococcus aureus form golden yellow pigment on nutrient agar. Staphylococcus epidermidis cause endocarditis in drug addicts. Staphylococcus saprophyticus is the common cause of urinary tract infection, particularly in sexually active young women. Reference: Textbook of Microbiology; Anathanarayan and panicker's; 10th edition; Page no: 207, 208